Phage typing is widely used for the intraspecies classification of one of the following bacteria ?
1. Staphylococci
2. E. coli
3. Klebsiella pneumoniae
4. Pseudomonas aeruginosa

Correct answer: 1. Staphylococci

Explanation: Ans. is 'a' i.e., Staphylococci